All are true about multicystic Dysplastic kidney except
1. Unilateral multicystic dysplastic kidney is more common than bilateral
2. Prognosis is good if MCDK is isolated and unilateral
3. Unilateral MCDK leads to potter sequence
4. Bilateral MCDK has poor prognosis

Correct answer: 3. Unilateral MCDK leads to potter sequence

Explanation: Bilateral MCDK has poor prognosis and this leads to potter sequence.